Mechanism of action of triazoles is:
1. Inhibit ergosterol synthesis
2. Inhibit mitotic spindle
3. Create pores in the membrane
4. Inhibit beta 1,3 glycan

Correct answer: 1. Inhibit ergosterol synthesis

Explanation: Ans. (A) Inhibit ergosterol synthesis(Ref: Goodman and Gilman 13th/e p1091)Anti-fungal drug groupExampleMechanismPolyeneAmphotericin BCreate artificial pores in membrane by binding to ergosterolAzoles (Imidazole and triazoles)FluconazoleItraconazoleInhibit Lanosterol-14- alpha-demethylaseAllylaminesTerbinafineButenafineInhibit squalene epoxidaseAnti-metabolite5-FlucytosineInhibit DNA formationBenzofuranGriseofulvinBinds to tubulin and inhibit mitosisEchinocandinsCaspofungin MicafunginInhibit beta 1,3 glycan in fungal cell wall